Along a pleasant stimulus, noxious stimuli are given in treatment of alcohol dependence or sexual disorder is which of the following type of behaviour therapy
1. Negative reinforcement
2. Aversion therapy
3. Punishment
4. Flooding

Correct answer: 2. Aversion therapy

Explanation: Aversion TherapyAversion therapy is used for the treatment of conditions which are pleasant but felt undesirable by the patient, e.g. alcohol dependence, transvestism, ego-dystonic homosexuality, other sexual deviations. The underlying principle is the pairing of the pleasant stimulus (such as alcohol) with an unpleasant response (such as brief electrical stimulus), so that even in absence of unpleasant response (after the therapy is over), the pleasant stimulus becomes unpleasant by association. The unpleasant aversion can be produced by electric stimulus (low voltage), drugs (such as apomorphine and disulfiram) or even by fantasy (when it is called as covert sensitization). Ref: A Short Textbook of Psychiatry, Niraj Ahuja, 7th Edition, pg. no. 215